DEC Provocation test is used for
1. Malaria
2. Filariasis
3. Guinea worm
4. Yellow fever

Correct answer: 2. Filariasis